Shortest incubation period is seen with
1. Influenza
2. Hepatitis B
3. Hepatitis A
4. Rubella

Correct answer: 1. Influenza

Explanation: Influenza has an incubation period of 18 to 72 hours Incubation period of :- Hepatitis A : 10 to 50 days Hepatitis B : 30 to 180 days Rubella : 2 to 3 weeks Ref : Park's Textbook of Preventive and Social Medicine; 23rd edition